Which of the following is NOT a complication of bronchiectasis :
1. Lung abscess
2. Lung cancer
3. Amylodosis
4. Empyema

Correct answer: 2. Lung cancer

Explanation: Answer is B (Lung cancer): Bronchiectasis is not a premalignant condition. Complications of Bronchiectasis: Massive hemoptysis. Empyema with or without bronchopleural fistula. Purulent pericarditis. Respiratory failure with chronic cor pulmonale. Metastatic abscesses in brain and bones. Secondary amyloidosis with nephrotic syndrome. Lung abscess: Bronchiectasis is a predisposing factor for Lung abscess .